In CLL basically which cell predominates ?
1. T cell
2. B cell
3. Lymphocyte
4. Monocyte

Correct answer: 2. B cell

Explanation: Ans. is 'b' i.e., B cell [